Drug that is radioprotective is :
1. Paclitaxel
2. Vincristine
3. Etoposide
4. Amifostine

Correct answer: 4. Amifostine